Rhinoscleroma is due to which infection
1. Viral
2. Fungal
3. Bacterial
4. None

Correct answer: 3. Bacterial

Explanation: Rhinoscleroma is a chronic granulomatous disease caused by a gram-negative bacillus called Klebsiella rhinoscleromatis or Frisch bacillus. In India, it is more often in the northern parts than in the southern parts.